Common salt can be used as a chemical antidote for washing the stomach in case of oral poisoning by
1. Mercuric sulphide
2. Silver nitrate
3. Copper sulphate
4. Lead bicarbonate

Correct answer: 2. Silver nitrate